All are the causes of intra-uterine growth restriction, EXCEPT:
1. Anaemia
2. Pregnancy-induced hypertension
3. Maternal heart disease
4. Gestational diabetes

Correct answer: 4. Gestational diabetes

Explanation: Gestational diabetes is associated with maternal and hence foetal hyperglycaemia, which, in turn, leads to excessive deposition of adipose tissue in the foetus causing macrosomia.